Which of the following is most likely to show gonococcus in a female :
1. Urethra
2. Vagina
3. Cervix
4. Rectum

Correct answer: 3. Cervix

Explanation: Cervix